Breast feeding should be started in normal delivery :
1. Soon after delivery
2. After 2 hours
3. After 6 hours
4. After 4 hours

Correct answer: 1. Soon after delivery

Explanation: Soon after delivery